Which of the following beta-lactam antibiotics can be safely used in a patient with a history of allergy to penicillins?
1. Aztreonam
2. Cefepime
3. Loracarbef
4. Ceftriaxone

Correct answer: 1. Aztreonam

Explanation: Ans. (A) Aztreonam(Ref: KDT 8/e p781)Aztreonam is the only beta lactam antibiotic that can be used in patients having severe allergy to penicillins or cephalosporins (as it is not cross allergenic).